Ovulation is associated with sudden rise in the level of which of the following hormone?
1. Prolactin
2. Testosterone
3. LH
4. Oxytocin

Correct answer: 3. LH

Explanation: Ovulation is the process by which the oocyte-cumulus is released from the follicle. Towards the end of follicular phase the levels of estradiol increases dramatically and exerts a positive feedback at both hypothalamus and anterior pituitary causing LH surge. LH surge last for 48 hours and ovulation occurs approximately 36 to 40 hours after the onset of LH surge. The LH surge: Acts rapidly on both the granulosa and theca cells of the preovulatory follicle and turn on the expression of genes required for ovulation and luteinization. It also initiates the re entry of the oocyte into meiosis, expansion of the cumulus oophorus, synthesis of prostaglandins, and luteinization of granulosa cells. Ref: Williams Gynecology, 2e chapter 15.